Characteristics of SIRS include all of the following except:
1. Leukocytosis
2. Thrombocytopenia
3. Tachycardia
4. Oral temperature more than 38degC

Correct answer: 2. Thrombocytopenia

Explanation: SIRS (Systemic Inflammatory Response Syndrome)- Mediators of SIRS* IL - I* IL - 6* TNF - a- It is body's inflammatory response to infectious or non-infectious insult - Parameters of SIRS* Temperature (>38deg C Or < 36deg C)* HR > 90 / min* Respiratory rate > 20/min* WBC count (> 12000/ml or < 4000/ml or >10% immature cells in the peripheralblood) Note: > 2 of 4 should be present Sepsis - SIRS + Established focus of infectionSevere sepsis - Sepsis with organ dysfunction of hypoperfusionSeptic shock - Sever sepsis not responding to IV Fluids According to 2016 Criteria- Sepsis - Suspected or Documented infection & Acute increase in ? 2 SOFA points- Septic Shock - Suspected or documented infection + Vasopressor therapy needed tomaintain MAP ? 65 mmHg of serum lactate > 2.o mmol/L despite of adequate fluidresuscitation